Temporal arteritis all are associated except -
1. Elderly patient
2. Low ESR
3. Giant cells
4. Polymyalgia rheumatica

Correct answer: 2. Low ESR

Explanation: Ans. is 'b' i,e., Low ESR Temportal Arteritis is characterized byo Headacheo Jaw claudicationo Visual symptomso Polymyalgia rheumatico Arthritiso Raised ESRo NormocyticNormochromc anemia